Monitoring of b-HCG Useful in Mananement of
1. H.mole
2. Choriocarcinoma
3. Ectopic Pregnancy
4. All

Correct answer: 4. All

Explanation: Ans is a, b and c i.e. H.mole, Choriocarcinoma and ectopic pregnancy